All are synoyms for tuberculosis verrucosa cutis, EXCEPT:
1. Anatomist's warts
2. Prosector's warts
3. Verruca necrogenica
4. Scrofuloderma

Correct answer: 4. Scrofuloderma

Explanation: TBVC/ warty tuberculosis is a form of cutaneous tuberculosis occuring in individuals with high immunity. It is known by former 3 names as infection occur in physicians, pathologists and post mortem attendants as verrucous lesions by accidental superinfection. Scrofuloderma is cutaneous uberculosis in individuals withn low host immunity. Ref: Rooks Textbok of Dermatology, 8th Edition, Page 31.12